In leprosy neural involvement occurs in what percentage of patients –
1. 30%
2. 60%
3. 90%
4. 100%

Correct answer: 4. 100%

Explanation: Nerve involvement is universal (100%) in leprosy. However, 100% patients do not develop symptoms of neural involvement.